Deficiency of all the three components of coagulation factor VIII result in:
1. Von wifiebrand's disease
2. Haemophilia - A
3. Parahemophilia
4. Haemophilia - B

Correct answer: 1. Von wifiebrand's disease